8 year old boy presented with boggy swelling on the scalp and easily pluckable hair. which of the following is the investigation of choice?
1. Biopsy
2. X ray skull
3. KOH smear
4. Tzank smear

Correct answer: 3. KOH smear

Explanation: The diagnosis is tinea capitis hence investigation of choice is KOH smear.